Conversion of norepinephrine to epinephrine occur by:
1. Methylation
2. Decarboxylation
3. Oxidation
4. Sulphation

Correct answer: 1. Methylation